Pathological Features of Idiopathic pulmonary Hemosiderosis are all except
1. Hyperplasia of type II alveolar pneumocytes
2. Alveolar capillary dilatation
3. Diffuse alveolar proteinosis
4. Hemosiderin laden macrophages

Correct answer: 3. Diffuse alveolar proteinosis

Explanation: Idiopathic pulmonary Hemosiderosis is characterized by diffuse alveolar hemorrhage.